Cyanosis is not seen in-
1. CHF
2. COPD
3. CO poisoning
4. High altitude

Correct answer: 3. CO poisoning

Explanation: Ans. is 'c' i.e., CO poisoing Hypoxic hypoxia (hypoxemia)Anemic hypoxiaStagnant hypoxiaHistotoxic hypoxiao Cyanosis presentCauses :* Hypoventilation as seen in interstitial lung disease & COPD* Cyanotic CHD* Reduced diffusion capacity* Right to left shunt, e.g. A V malformation* V/Q mismatch* High altitudeo Cyanosis absent Causes :* Anemia* CO poisoningo Cyanosis presento Causes :* CHF* Shock* Peripheral vasoconstrictiono Cyanosis absento Causes:* Cyanide poisoning